The co-factor for glycogen phosphorylase in glycogenolysis is:
1. Thiamine pyrophosphate
2. Pyridoxal phosphate
3. Citrate
4. FAD

Correct answer: 2. Pyridoxal phosphate

Explanation: Glycogen phosphorylase catalyses the rate limiting step in glycogenolysis by catalyzing the phosphorolytic cleavage of glycogen to yield glucose 1-phosphate. Glycogen phosphorylase requires pyridoxal phosphate as its coenzyme.